Which vacutainer is used for electrolyte estimation?
1. Na Citrate
2. EDTA
3. Fluoride
4. Lithium heparin

Correct answer: 4. Lithium heparin

Explanation: Ans. (d) Lithium heparin(Ref: Henry Clinical chemistry)Heparin, a mucoitin polysulfuric acid, is an effective anticoagulant available as lithium heparin (LiHep) and sodium heparin (NaHep) in green-top tubes. Heparin accelerates the action of antithrombin III, neutralizing thrombin and preventing the formation of fibrin. Heparin has an advantage over EDTA as an anticoagulant, as it does not affect levels of ions such as calcium. However, heparin can interfere with some immunoassays. Heparin should not be used for coagulation or hematology testing.